PR interval is reduced in ?
1. Wenckebach phenomenon
2. WPW syndrome
3. Hypothyroidism
4. Complete heart block

Correct answer: 2. WPW syndrome

Explanation: Ans. is 'b' i.e., WPW syndrome o In WPW, the bundle of Kent is an accessory pathway which allows fast conduction to the ventricles and consequently leads to complaints of palpitations and reduction of PR interval.PR interval has an inverse relation with heart rateo All other options are characterized by bradycardia therefor PR interval increased.